Which of the following is NOT a content of broad ligament?
1. Ovarian artery
2. Paroophoron
3. Ligament of ovary
4. Hypogastric nerve

Correct answer: 4. Hypogastric nerve

Explanation: Contents of the broad ligament are: Uterine tubeUterine arteryAnastomosing branches of uterine and ovarian vesselsRound ligament of uterusLigament of ovaryEpoophoron and paroophoronBroad ligament of uterus is formed by two layers of peritoneum that extend from the lateral side of the uterus to the lateral pelvic wall. The uterine tube is contained in the superior margin of the broad ligament. The 3 parts of broad ligament are: mesosalpinx, mesovarium and mesometrium. Mesosalpinx supports the uterine tube, mesovarium attaches the ovary to the posterior aspect of the broad ligament. Mesometrium is the part of broad ligament that is below the attachment of the mesovarium. Ref: Concise Anatomy By Jain page 181.Dissector By Patrick W. Tank, page 138